Neuromuscular disorder is related to which type of lung cancer?
1. Adeno carcinoma
2. Squamous cell carcinoma
3. Small cell carcinoma
4. Bronchoavelolar carcinoma

Correct answer: 3. Small cell carcinoma

Explanation: ANSWER: (C) Small cell carcinomaREF: Harrison 18th ed chapter 89, table 96-1